All of the following are seen in Turner syndrome EXCEPT?
1. Webbed neck
2. Lymphedema of hands & feet
3. Short stature
4. Cubitus varus

Correct answer: 4. Cubitus varus

Explanation: Cubitus valgus is seen in Turner syndrome not cubitus varus